Which of the following ricketsial diseases is transmitted by tick -
1. Murine typhus
2. Rocky mountain spotted fever
3. Q-fever
4. Endemic typhus

Correct answer: 2. Rocky mountain spotted fever

Explanation: Rickettsial disease Insect vector Murine typhus (endemic typhus) - Flea Q fever Nil Ref: PARK'S TEXTBOOK OF PREVENTIVE AND SOCIAL MEDICINE 23rd edition pg 299